Typical histological change seen in benign hypertension includes
1. Formation of new vessels
2. Loss of endothelial cells of arterioles
3. Fibrinoid necrosis of small sized arterie/sarterioles
4. Intimal proliferation and hyalinization of muscular media of medium sized arteries/arterioles

Correct answer: 4. Intimal proliferation and hyalinization of muscular media of medium sized arteries/arterioles

Explanation: Hypertension not only accelerate atherogenesis but also causes degenerative changes in the walls of large and medium sized arteries that can lead to aortic dissection and cerebro vascular hemmorage Hyaline arteriolosclerosis is associated with benign hypertension Robbins 9th edition page no. 333